All of the following are seen in a patient with cystic fibrosis except
1. Hypochloremia
2. Metabolic aciclosis
3. Recurrent pneumonias
4. Steatorrhoea

Correct answer: 2. Metabolic aciclosis

Explanation: Cystic fibrosis (CF) is a genetic disorder that affects mostly the lungs, but also the pancreas, liver, kidneys, and intestine.Long-term issues include difficulty breathing and coughing up mucus as a result of frequent lung infections.Other signs and symptoms may include sinus infections, poor growth, fatty stool, clubbing of the fingers and toes, and infertility in most males.Different people may have different degrees of symptoms Ref Robbins 9/e pg 158